A highway truck driver has profuse rhinorrhea and sneezing. Which amongst the following drugs would you prescibe him?
1. Pheniramine
2. Promethazine
3. Dimenhydrinate
4. Cetrizine

Correct answer: 4. Cetrizine

Explanation: Ans. is 'd' i.e., Cetrizine o Because the patient is a truck driver, we'll prefer a drug with least or no sedative effect. o Amongst the choices provided cetrizine is the antiallergic with least sedative action and hence the agent of choice.